Fick's operation and Cody Tack's procedure is for -
1. Otosclerosis
2. Meniere's disease
3. Atrophic rhinitis
4. Benign positional paroxysmal vertigo

Correct answer: 2. Meniere's disease

Explanation: Ans. is 'b' i.e., Meniere's diseaseSurgical managemento Surgical therapy for meneire's disease is reserved for medical treatment failures and is otherwise controversial. Surgical procedures can be divided into two main categoriesDestructive surgical proceduresNondestructive surgical procedureso Destructive surgical proceduresLabyrinthectomyIntermittent low pressure pulse therapy (Meniett device therapy)o Conservative surgical proceduresDecompression of endolymphatic sacEndolymphatic shunt operationSacculotomy (Fick's operation & Cody's tack procedure)Vestibular neuronectomyUltrasonic destruction of vestibular labyrinth to preserve cochlear function.Stellate ganglion block or cervical sympathectomyIntratympanic gentamycinVestibular nerve section